Granuloma venereum is caused by –
1. Donovania granulomatis
2. Chlamydia
3. Hemophillus ducrey
4. None

Correct answer: 1. Donovania granulomatis

Explanation: Donovanosis (granuloma inguinale or granuloma venerum) is caused by calymmatobacterium granulomatis.